A 18 year old male presents with a draining sinus on his left leg with pus discharge and discharge of bony pieces since in 3 months. The diagnosis
1. Chronic osteomyelitis
2. Ewing's Sarcoma
3. Osteoid Osteoma
4. Cellulitis

Correct answer: 1. Chronic osteomyelitis

Explanation: Answer- A. Chronic osteomyelitisA history of bone piece discharge from the chronic sinusis considered diagnostic of chronic osteomyelitis.